Nernst potential of Na+ is
1. 94
2. 61
3. -64
4. -94

Correct answer: 2. 61

Explanation: Equilibrium potential of ions is calculated by NERNST EQUATION. For Na, it is +60 mV to +55mV approximately (REF: GANONG'S REVIEW OF MEDICAL PHYSIOLOGY -23rd EDITION. Page No-7)